The treatment of choice for silent gallbladder stones is:-
1. Observation
2. Chenodeoxycholic acid
3. Cholecystectomy
4. Lithotripsy

Correct answer: 1. Observation

Explanation: There was no clear cost benefit and no life-years were gained from prophylactic cholecystectomy, indicating no clear-cut advantages of prophylactic cholecystectomy in asymptomatic cholelithiasis. As a result, in patients with asymptomatic gallstones, expectant management is recommended.